The most common site of acute aortic dissection is
1. Right lateral wall of ascending aorta
2. Arch of aorta
3. Suprarenal abdominal aorta
4. Infrarenal abdominal aorta

Correct answer: 1. Right lateral wall of ascending aorta

Explanation: This occurs when a defect or flap occurs in the intima of the aorta, resulting in blood tracking into the aortic tissues splitting the medial layer and creating a false lumen. It most commonly occurs in the ascending aorta or, less often, just distal to left subclavian arte. Reference: Bailey and love, 27th edition, page no. 909